Blood platelets in stored blood do not remain functional after ...... hrs. -
1. 24
2. 48
3. 72
4. 96

Correct answer: 1. 24

Explanation: Ans. is 'a' i.e., 24